World Anti-TB Day is
1. 30th January
2. 4th february
3. 24th March
4. 1st December

Correct answer: 3. 24th March

Explanation: 24th of March is Observed as Anti-TB day. As this day denotes,identification of TB bacilli by Sir Robert Koch in the year 1882. Ref: Pg. No:317, IAPSM Textbook of Community Medicine